The following is not a penicillinase resistant penicillin-
1. Methicillin
2. Ampicillin
3. Oxacillin
4. Nafcillin

Correct answer: 2. Ampicillin

Explanation: Ans. is b i.e., Ampicillin